A 28 year old woman was admitted electively to a HDU following C- section. A diagnosis of 'fatty liver of pregnancy' had been made preoperatively. She was commenced on a continuous morphine infusion at 5 mg/hr and received oxygen by mask. This was continued overnight and she was noted to be quite drowsy the next day. Arterial blood gases were- pH 7.16, pCO2- 61.9 mmHg, pO2- 115 mmHg and HCO3- 21.2 mmol/l?
1. Respiratory acidosis +Metabolic acidosis
2. Respiratory alkalosis + Metabolic alkalosis
3. Respiratory acidosis + Metabolic alkalosis
4. Respiratory alkalosis + Metabolic acidosis

Correct answer: 1. Respiratory acidosis +Metabolic acidosis

Explanation: Acidotic pH, Elevated CO2 , Low HCO3 Respiratory acidosis + Metabolic acidosis